Flumazenilis
1. Benzodiazepine antagonist
2. Benzodiazepine agonist
3. Melatonin receptor agonist
4. GABA analogue

Correct answer: 1. Benzodiazepine antagonist

Explanation: (Benzodiazepine antagonist) (399-KDT6th)* Flumazenil - Benzodiazepine antagonistUses - (i) To reverse BZD anaesthesia (ii) BZD overdose* Melatonin receptor agonist - Ramelteon